The short bowel syndrome is characterized by all of the following except :
1. Diarrhea
2. Hypogastrinemia
3. Weight loss
4. Steatorrhoea

Correct answer: 2. Hypogastrinemia

Explanation: Answer is B (Hypogastrinemia): Short bowel syndrome is characterized by increased gastrin levels (hypergastrinemia) due to reduced small intestinal catabolism of gastrin - Harrison's Short bowel syndrome (Myriad of clinical problems that follow resection of warying length of small intestine) Vitamin E >> Vitamin K Deficiency of vitamin K is uncommon as vitamin K is synthesized by colonic bacteria * 60% of vitamin K is synthesized by colonic bacteria * 40% of vitamin K is received by dietary intake * Deficiency of vitamin K is therefore uncommon in patients with short bowel syndrome who have an intact colon. * Deficiency of vitamin K is however common in those patients with short bowel syndrome who do not have a residual colon. " align="left" height="282" width="318"> Fat solubleVitamin The ileum has the capacity to adapt and compensate for jejunal resection. The jejunum does not have the capacity to adapt and compensate for ileal resection (as the terminal ileum has the exclusive capacity to reabsorb bile salts &vit BO " align="left" height="280" width="316">Causes: I. Mesentric vascular disease: mesenteric ischaemiadeg 2. Primary mucosal and submucosal disease -- Crohn's diseasedeg 3. Operations without preexisting small intestinal disease --jejunoilial bypass for obesitydeg Manifestation resulting from resection of varying length of small intestine Diarrhea and Steatorrhea Q Ted Renal calcium oxalate calculi Ted Cholesterol gall stones Q Gastric hypersecretion of acidQ Multiple factors contribute to diarrhea * There occurs increased Due to a decrease in Related to reduced and steatorrhea such as: absorption of oxalates by large the bile acid pool size hormonal inhibition of * Absence of intestinal mucosa required intestine in patients with a and resulting super acid secretion or for absorption of lipid and fluid and small intestinal resection with saturation of increased gastrin levels electrolytes intact colon cholesteral in gall- due to reduced small * Stimulation of colonic fluid and * Hyperoxaluria and renal bladder bile. intestine catabolism of electrolyte secretion by increased bile acids that enter colon calcium oxalate crystals form Treatment: gastrin. * Decreased intestinal transit and bacterial overgrowth from absence of ilio caecal valve * Reduced pH in duodenum from gastric acid hypersecretion. * Dietry restriction of oxalate containing feed (spinach, tea) * Cholestyramine an anion binding resin and calcium